Fertilization takes place in w hich part of fallopian tube-
1. Interstitial part
2. Ampulla
3. Isthmus
4. Fimbria

Correct answer: 2. Ampulla

Explanation: Ans. is 'b' i.e., Ampulla o The beneficial effects of stay in the female genital tract are collectively called capacitation, from the isthmus, capacitated sperms move rapidly to the ampullas, where fertilization takes place.